Length of spreader short of working length
1. 0.5 mm
2. 0.1 mm
3. 1.5 mm
4. 0.25 mm

Correct answer: 3. 1.5 mm